Pure motor paralysis is seen in -
1. Polio
2. Guillain Barre syndrome
3. Diabetes mellitus
4. Sub-Acute Combined Degeneration

Correct answer: 1. Polio